Psammoma bodies may be seen in all of the following, except
1. Follicular carcinoma of thyroid
2. Papillary carcinoma of thyroid
3. Meningioma
4. Serous cystadenocarcinoma of ovary

Correct answer: 1. Follicular carcinoma of thyroid

Explanation: Psammoma Bodies are concentric lamellated calcified structures, said to represent a process of dystrophic calcification. Seen inPapillary carcinoma thyroidPapillary carcinoma (RCC) Serous cystadenoma Meningioma